Chief artery of lateral surface of cerebral hemisphere
1. Anterior cerebral artery
2. Posterior cerebral artery
3. Middle cerebral artery
4. Posterior inferior cerebellar artery

Correct answer: 3. Middle cerebral artery

Explanation: The chief artery of lateral surface of brain is middle cerebral arteryThe chief arteries of medial and inferior surfaces anterior cerebral artery and posterior cerebral arteries respectively.(Ref: Vishram Singh textbook of clinical neuroanatomy Second Edition page 178)